The following statement is not true about the use of clonidine in the treatment of hypertension
1. Reduction in central sympathetic outflow
2. Increase in LDL-cholesterol on prolonged use
3. Sedation and xerostomia are common side effects
4. It can be combined with vasodialators

Correct answer: 2. Increase in LDL-cholesterol on prolonged use

Explanation: Ans. is 'b' i.e. Increase in LDL-cholesterol on prolonged use Clonidine is a selective cc2 receptor agonist. It can act on peripheral oc2 receptors also but its major hemodynamic effects result from action on central sites primarily in medulla (Vasomotor centre)It stimulates a2 receptors present mainly post junctionally at these sites (central) - decrease in sympathetic outflow - fall in B.P. and bradycardia.So it is used as an antihypertensiveDecreased sympathetic outflow to kidney results in reduced renin release so it can be combined with other antihypertensives which increase plasma renin activity such asDiureticsVasodilatorsCCB'sACE inhibitorsClonidine has no effect on plasma lipid levelAdverse effectssedationmental depressiondryness of mouth (xerostomia) nose and eyesconstipationimpotency